True about negatively skewed data is
1. Mean is less than median
2. Mean is more than median
3. Mean is equal to median
4. No correlation

Correct answer: 1. Mean is less than median

Explanation: negative or left skew means the mean is less than the median.mean<median<mode